Malignant cells characteristically
1. Have a shorter cell cycle than the normal cells in their parent tissue
2. Have the same DNA content as the normal cells in their parent tissue
3. Are contact inhibited in tissue culture
4. Take at least 30 doubling times before they become clinically detectable

Correct answer: 4. Take at least 30 doubling times before they become clinically detectable

Explanation: Malignant cells characteristically take at least 30 doubling times before they become clinically detectable. They commonly have a longer cell cycle than the normal cells in their parent tissue. Neoplasia is a problem due to an accumulation of cells over a period of time. Malignant cells have a greater DNA content than the normal cells in their parent tissue. This can be quantitated by flow cytometry for prognosis purposes, Diploid cells (multiples of 23 chromosomes) have a better prognosis than aneuploid cells (uneven multiples). Malignant cells are not contact inhibited in tissue culture, and often pile up on top of each other. Malignant cells also have simple biochemical systems, with a predominantly anaerobic metabolism.